Modafinil is used for the treatment of ?
1. Narcolepsy
2. Sexual dysfunction
3. Depression
4. Anxiety

Correct answer: 1. Narcolepsy

Explanation: Ans. A. NarcolepsyModafinil is a wakefulness-promoting agent (or eugeroic) used for treatment of disorders such as narcolepsy,shift work sleep disorder, and excessive daytime sleepiness associated with obstructive sleep apnea'